Newborn with APGAR score of 2 at 1 min. & 6 at 5 min. has respiratory distress & mediastinal shift diagnosis is -
1. Congenital adenomatoid lung disease
2. Pneumothorax
3. Diaphragmatic hernia
4. All

Correct answer: 4. All

Explanation: Ans. is 'a' i.e., Congenital adenomatoid lung disease; 'b' i.e., Pneumothorax & 'c' i.e., Diaphragmatic hernia Causes of respiratory distress with mediastinal shift in neonates ? o Diaphragmatic hernia o Congenital mediastinal mass o Congenital cystic adenomatoid malformation o Congenital lobar emphysema o Pneumothorax